Ganglion is?
1. Collection of neurons in CNS
2. Collection of neurons outside CNS
3. Collection of dendrites
4. Any collection of neurons

Correct answer: 2. Collection of neurons outside CNS

Explanation: ANSWER: (B) Collection of neurons outside CNSREF: Gray's anatomy 39th ed p. 56Ganglia are aggregations of neuronal somata outside CNS. They occur in the dorsal roots of spinal nerves; in the sensory roots of the trigeminal, facial, glossopharyngeal, vagal and vestibulocochlear cranial nerves; in autonomic nerves and the enteric nervous system.